M/c cause of chronic laryngeal stenosis ?
1. Trauma
2. TB
3. Wegeners
4. Tumor

Correct answer: 1. Trauma

Explanation: Ans. is 'a' i.e., Trauma Laryngeal stenosis (LS) is a congenital or acquired narrowing of the larynx causing airway compromise. The acquired causes may be due to endotracheal intubation, trauma, burns, inflammation, neoplasms, autoimmune disorders and collagen vascular disease.